Amine hormone is ?
1. Insulin
2. Glucocorticoid
3. PTH
4. Thyroxine

Correct answer: 4. Thyroxine

Explanation: Ans. is 'd' i.e., Thyroxine